Blood pressure measured using a sphygmomanometer
1. May be falsely low with too narrow cuff
2. May be falsely low in patients with badly stiffened arteries
3. May be falsely high in obese patients
4. Gives a direct reading of mean arterial pressure

Correct answer: 3. May be falsely high in obese patients

Explanation: If the cuff is too small, it takes a falsely high pressure in the cuff to transmit sufficient pressure to the vessel wall for total occlusion of the artery.Blood pressure may be falsely high in patients with badly stiffened arteries because of the extra pressure needed to compress the arteries.